In a patient with multiple bilateral nasal polyps with X-ray showing opacity in the paranasal sinuses. The treatment consists of all of the following, except:
1. Epinephrine
2. Corticosteroids
3. Amphotericin-B
4. Antihistamines

Correct answer: 1. Epinephrine

Explanation: Bilateral ethmoidal polypi are either the result of long-standing nasal allergy or fungal sinusitis. Opaque paranasal sinuses can result in both. Treatment therefore can include antihistamines, steroids and. if fungal, amphotericin-B. Epinephrine (adrenaline) has no role.